The following are true about measles
1. It is an RNA virus
2. Causes Koplik's spots on the conjunctiva
3. Acute catarrhal conjunctivitis is a known features
4. All the above

Correct answer: 4. All the above

Explanation: Measles is caused by Morbilivirus which comes under paramyxoviridae family(enveloped ,helical,RNA virus).First signs of clinical disease include prodromal malise,fever,conjunctival injection ,cough & nasal discharge .A day or two before the rash begins,Koplik's spots develop on the buccal mucosa & occasionally on the conjunctiva & intestinal mucosa. Reference : Harrison20th edition pg 879